Most common primary tumour of the heart:
1. Myxoma
2. Fibroma
3. Myoma
4. Angioma

Correct answer: 1. Myxoma

Explanation: Ans: a (Myxoma) Ref: Robbins, 7th ed, p. 613; Harrison, 16th ed, p. 144The most common primary tumours of the heart, in the descending order of frequency are myxomas, fibromas, lipomas, papillary fibroelastomas, rhabdomyomas, angiosarcomas and other sarcomas.Myxomas* MC primary tumour of the heart* MC site: Fossa ovalis in atrial septum, left atria* Histological feature: Stellate or globular myxoma, (lepidic cells)* C/F: Most common presentation similar to that of mitral valve disease (i.e. MS or MR )* Constitutional symptoms: fever, malaise etc* O/E: tumour plop- low pitched* Rx. Surgical removal is curative.Myxoma associated syndromes* CARNEY syn:Multiple (cardiac & extracardiac) myxomas, spotty pigmentation, endocrine hyperactivity* LAMB syn:Lentigines. atrial myxoma, blue naevi* NAME syn:Nevi, atrial myxoma, myxoid neurofibroma, ephelidesBRIDGECarney's triad:- Paraganglioma Gastric leiomyosarcoma Pulmonary chondroma